A 25 year old man with 3 weeks fever presented with tricuspid valve vegetation. The patient is an intravenous drug abuser. Most common cause of endocarditis in this patient is -
1. Staph. aureus
2. Candida albicans
3. Pseudomonas
4. Strep. viridans

Correct answer: 1. Staph. aureus

Explanation: Infective endocarditis in intravenous drug abusers commonly involves the tricuspid valve and are caused by Staphylococcus aureus.
M. C. cause of native valve endocarditis → Staph. Aureus
M.C. cause of early-onset prosthetic valve endocarditis (< 2 mts & 2-12 mts) → Coagulase-negative staphylococci
M. C. cause of late-onset prosthetic valve endocarditis (> 12 mts) → Streptococci (e.g. streptococcus viridans)
M.C. cause of endocarditis in I.V drug abusers → Staph aureus.